Marble bone is characteristic of?
1. Osteopetrosis
2. Marfan's syndrome
3. Osteogenesis imperfecta
4. Melorheostosis

Correct answer: 1. Osteopetrosis

Explanation: Ans AOsteopetrosis, also known as Marble bone disease, or Albers- Schonberg disease is an extremely rare inherited disorder whereby the bones harden, becoming denser due to defect in osteoclastic bone resorption.